Maternal antibodies do not occur for
1. Polio
2. Whooping cough
3. Diphtheria
4. Tetanus

Correct answer: 2. Whooping cough

Explanation: Infants are susceptible to Pertussis infection from birth because maternal antibody does not appear to give them protection.